Drugs used in congestive heart failure are All except
1. Nesiritide
2. Digoxin
3. Spiranolactone
4. Adrenaline

Correct answer: 4. Adrenaline

Explanation: As a medication, adrenaline is used to treat a number of conditions including anaphylaxis, cardiac arrest, and superficial bleeding. Inhaled adrenaline may be used to improve the symptoms of croup. It may also be used for asthma when other treatments are not effective. It is given intravenously, by injection into a muscle, by inhalation, or by injection just under the skin. Common side effects include shakiness, anxiety, and sweating. A fast heart rate and high blood pressure may occur. Occasionally it may result in an abnormal heart rhythm. While the safety of its use during pregnancy and breastfeedingis unclear, the benefits to the mother must be taken into account Refer kDT 6/e p502